A 3-day-old neonate born after a 32-week gestation develops yellow skin. Physical examination of the infant is unremarkable. Which of the following is most likely to be increased in this neonate's serum?
1. Alanine aminotransferase
2. Carotene
3. Conjugated bilirubin
4. Unconjugated bilirubin

Correct answer: 4. Unconjugated bilirubin

Explanation: Most of the normal newborns exhibit transient unconjugated hyperbilirubinemia. Immaturity of the liver - Inadequate conjugation of bilirubin. Physiological jaundice is more pronounced in premature infants due to inadequate hepatic clearance of bilirubin and increased erythrocyte turnover. Fetal bilirubin levels in utero remain low because bilirubin crosses the placenta, where it is conjugated and excreted by the mother's liver. Elevated serum levels of carotene (choice B) reflects hypervitaminosis A